NOT a small vessel vasculitis among the following
1. Wegener's granulomatosis
2. Churg Strauss Syndrome
3. Takayasu's arteritis
4. Microscopic polyangitis

Correct answer: 3. Takayasu's arteritis

Explanation: (C) Takayasu's arteritis